Locally invasive gastric carcinoma. Investigation of choice to know depth of cancer invasion:
1. CECT
2. MRI
3. Barium
4. EUS

Correct answer: 4. EUS

Explanation: The best way to stage the tumor locally is EUS, which gives fairly accurate (80%) information about the depth of tumor penetration into the gastric wall, and can show enlarged (>5mm) perigastric and celiac lymph nodes